The established benefits of estrogen replacement therapy in menopausal woman include a reduction in all of the following EXEPT
1. Osteoporosis
2. Mood depression
3. Atrophic vaginitis
4. Hot flushes

Correct answer: 2. Mood depression

Explanation: Estrogen replacement therapy has many advantages, including reduction in symptoms of estrogen deficiency such as hot flushes, sweating, and atrophic vaginitis. Estrogens have a favorable effect on lipoprotein profiles, increasing high-density lipoprotein (HDL) cholesterol and slightly decreasing low-density lipoprotein (LDL) cholesterol. The risk of osteoporosis is also reduced when estrogen replacement therapy is used in combination with calcium supplements. Although menopausal women often feel better physically when receiving estrogen replacement therapy, a few may experience mood depression severe enough to necessitate discontinuation of therapy.